Fluoxetine causes all, except
1. Diarrhoea
2. Insomnia
3. Sedation
4. Anxiety

Correct answer: 3. Sedation

Explanation: Fluoxetine is a newer SSRI (selective serotonin reuptake inhibitor) devoid of an cholinergic, sedative and hypotensive side effects.